Mechanism of action of propylthiouracil in hyperthyroidism is:
1. Inhibition of organification of iodine
2. Inhibition of oxidation of iodine
3. Inhibition of coupling of two DIT residues
4. All of the above

Correct answer: 4. All of the above

Explanation: Propylthiouracil, carbimazole and methimazole act by inhibiting the enzyme, thyroid peroxidase. It catalyses:

Oxidation of iodine
Organification
Coupling